Treatment of an incidentally detected Appendicular carcinoid measuring 2.5 cm is:
1. Right hemicolectomy
2. Limited resection of the right colon
3. Total colectomy
4. Appendicectomy

Correct answer: 1. Right hemicolectomy

Explanation: Ans. A i.e. Right hemicolectomy